The following statement regarding ganglion blocking agents are true except:
1. They block the transmission of impulse in the sympathetic and parasympathetic autonomic ganglia.
2. They reduce the amount of noradrenaline released from the postganglionic sympathetic nerve endings.
3. Incidence of postural hypertension is less with their use.
4. Neostigmine can counteract  the paralytic ileus and urinary retention seen with these agents.

Correct answer: 3. Incidence of postural hypertension is less with their use.

Explanation: Ganglion blocking agents occupy the receptors on the ganglion cells and block the transmission of impulses in the autonomic ganglia. They produce sympathetic and parasympathetic ganglion blockade. This results in a decrease in the amount of noradrenaline at the postganglionic sympathetic nerve ending, a decrease in the peripheral sympathetic tone and a fall in the blood pressure. The normal protective vasometer reflexes that are mediated by baroreceptors and sympathetic nervous system is also blocked thus there is marked postural hypotension. Paralytic ileus and urinary retention can result due to parasympathetic bloackade, which can be countered by neostigmine, an anticholinesterase.